Snake eye appearance is resembled by occlusal view of which tooth
1. Upper 1st premolar
2. Lower 1stpremolar
3. Upper 2nd premolar
4. Lower 2nd premolar

Correct answer: 2. Lower 1stpremolar